Following accidental intra arterial injection of thipentone which should not be done
1. Remove the needle
2. Intra arterial heparin
3. Intra arterial papaverine
4. Do a stellate ganglion block

Correct answer: 1. Remove the needle

Explanation: Ref Ajay yadav 2/e p 73 Treatment of accidental intra arterial injection of thipentone is Immediately stop further injection Leave the needle at site Inject heparin through this needle Inject papaverine through this needle If vasodilators like papaverine are not available ,xylocaine can be used Brachial plexus or stellate gangling block should be done to relieve vasospasm